The commonest cause of paraplegia is-
1. Tuberculosis
2. Trauma
3. Secondaries
4. Transverse myelitis

Correct answer: 2. Trauma